Pulmonary lymph flow rate is
1. 20 ml/hour
2. 40 ml/hour
3. 50 ml/hour
4. 60 ml/hour

Correct answer: 1. 20 ml/hour

Explanation: Pulmonary lymph flow rate is 20 ml per hour Ref: guyton and hall textbook of medical physiology 12 edition